Baby born premature at 29 wks on examination at 42 wks with ROP both eyes shows stage 2 zone I plus disease, how will you manage the natient?
1. Examination the patient after I week
2. Laser photocoagulation of both eyes
3. Laser photocoagulation of worse eye, follow up of othr eye
4. Vitreoretinal surgery

Correct answer: 2. Laser photocoagulation of both eyes

Explanation: B i.e. Laser photocoagulation of both eyes